During active labour cervical dilatation per hour, in primi is :
1. 1.2 cms
2. 1.5 cms d.
3. 1.7 cms
4. cms

Correct answer: 1. 1.2 cms

Explanation: Ans. is a i.e. 1.2 cms Labour is said to active when : Cervix is dilated to at least 3 -- 4 cms.deg Regular uterine contractions are present.deg Rate of dilatation is at least 1.2 cm/hrdeg for nulliparous and 1.5 cm/hrdeg for parous women. The pattern of cervical dilatation during the latent and active phase of normal labour is a sigmoid curve. This curve is called as Friedman curve. Friedman subdivided the active phase into : Acceleration phase -- 3 - 4 cm of cervical dilatation Phase of maximum slope -- 4 - 9 cm Deceleration phase -- 9 - 10 cm Remember : Latent phase is mainly concerned with cervical effacement active chase with cervical dilatation and the second stage with descent of the head. In the nulliparous/ prirni gravida --> rate of cervical dilatation ranges between 1.2-6.8 cms/hr, minimum should be 1.2 cm/hr. In multipara minimum rate of cervical dilatation is 1.5 cms/hr. If dilatation is less than these, then it is called as protracted active phase. Abnormalities of active phase: Protracted active phase (Le. slow rate of cervical dilatation or descent of head). Features Cervical dilatation Descent of head Nulliparous < 1.2 cm/hr < 1 cm/hr Multiparous < 1.5 cm/hr < 2 crn/hr - Arrest of dilatation : Cessation of dilatation for 2 or more hours. - Arrest of descent : Cessation of descent for 1 nr mr)ro hnurs. - Precipitate labour : Nulliparous Dilatation and descent > 5 cm/hrdeg. Multiparous Dilatation and descent > 10 cm/hrdeg.